Chassar moir surgery is done is case of :
1. Uterine inversion
2. Vesicovaginal fistula repair
3. Ureterovesical fistula repair
4. Retroverted uterus

Correct answer: 2. Vesicovaginal fistula repair

Explanation: Chassar moir technique is widely used in repair of vesicovaginal fistula. Vagina and bladder are separated all around by flap splitting method and sutured separately in two layers. Reference: Chapter 18; Genital fistula and urinary incontinence; Shaw's textbook of gynecology- 16th edition